Which of the following is least radiosensitive?
1. WBC, nerve cells, bone cells
2. RBC, muscle cells, nerve cells
3. Connective tissue cell, endothelial cell, muscle cell
4. Epithelial cell, bone cells, WBC

Correct answer: 2. RBC, muscle cells, nerve cells